Linear striations" are typically seen in:
1. Vertebral myeloma
2. Vertebral lymphangiornas
3. Vertebral metastases
4. Vertebral haemangioma

Correct answer: 4. Vertebral haemangioma

Explanation: Vertebral haemangioma